Type 4 respiratory failure is due to?
1. ARDS
2. Shock
3. Pneumonia
4. Perioperative atelectasis

Correct answer: 2. Shock

Explanation: Type 4 respiratory failure results from hypoperfusion of respiratory muscles in patients in shock.Normally,respiratory muscles consume<5% of the total cardiac output and O2 delivery.Patients in shock often experience respiratory distress due to pulmonary edema(eg.,patients in cardiogenic shock),lactic acidosis,and anemia. Ref:Harrison's medicine -18th edition,page no:2200.